The limit of loudness expressed as decibels that people can tolerate without substantial damage to their hearing is –
1. 55
2. 65
3. 75
4. 85

Correct answer: 4. 85